Which of the following most accurately describes the trans membrane signalling process involved in the steroid hormone action?
1. Action on a membrane spanning tyrosine kinase
2. Action of a G protein, which activates or inhibits adenylyl cyclase
3. Diffusion across the membrane and binding to an intracellular receptor
4. Opening of transmembrane ion channels

Correct answer: 3. Diffusion across the membrane and binding to an intracellular receptor